Split thickness skin graft is not taken up by:-
1. Fat
2. Muscle
3. Deep fascia
4. Skull bone

Correct answer: 4. Skull bone

Explanation: For skin graft to get accepted - the recipient bed should be vascularized For avascular places like bone, tendon, etc. - flap is used * Pedicel Graft or Flap Flap: Partially or completely isolated segment of tissue with its own blood supply Absolute Indications for Flaps Exposed bone Radiated vessel Brain Open joint or non-biological implant materials Pressure sores at bony prominences Full-thickness graft/Wolfe's Graft: - Consists of epidermis + full thickness of dermis. Only small graft can be taken For critical and small areas such as an eyelid, a full thickness graft is selected, so that contraction of the grafted material is minimum. Composite graft: Is a graft that contains tissue in addition to the epidermis and dermis. Depending on the donor site, it can contain subcutaneous fat, cartilage, and even muscle. It is ideal for repair of deeper defects. Free Flap: - It involves autogenous transplant of vascularised tissues. There is devascularization from donor site & revascularization at recipient bed.